Which of the following is the commonest site for Ca colon?
1. Caecum
2. Sigmoid colon
3. Ascending colon
4. Transverse colon

Correct answer: 2. Sigmoid colon

Explanation: The frequency is sigmoid colon > caecum > transverse colon > ascending colon.